Primary receptor cells of hearing are
1. Supporting cells
2. Tectorial membrance
3. Tunnel of corti
4. Hair cells

Correct answer: 4. Hair cells

Explanation: Hair cells are important receptor cells of hearing. Inner hair cells are more important in the transmission of auditory impulses. Outer hair cells mainly receive efferent innervation from the olivary complex and are concerned with modulating the function of inner hair cells. (Ref: Diseases of EAR, NOSE and THROAT by PL Dhingra; 6th edition; page no.13)